A patient developed breathlessness and chest pain, on second postoperative day after a total hip replacement. Echo-cardiography showed right ventricular dilatation and tricuspid regurgitation.What is the most likely diagnosis -
1. Acute MI
2. Pulmonary embolism
3. Hypotensive shock
4. Cardiac tamponate

Correct answer: 2. Pulmonary embolism

Explanation: Onset of chest pain and breathlessness, together with echocardiographic evidence of right ventricular dilatation and tricuspid regurgitation after a high risk procedure (for thromboembolism) like total hip replacement suggests a diagnosis of pulmonary embolism.